The immediate treatment of 10 kg weight infants presented with tetany
1. IV Diazepam
2. IV calcium gluconate with cardiac monitoring
3. IV slow phenobarbitone
4. Wait and watch

Correct answer: 2. IV calcium gluconate with cardiac monitoring

Explanation: Calcium gluconate 10%, 9mg calcium per ml is the preperation of choice.care should be taken to administer the drug slowly to avoid cardiac effects and tissue necrosis. Reference: OP G hai,eseential paediatrics,8 th edition. page no 522